Trotter's triad consists of all of the following EXCEPT:
1. Palatal paralysis
2. Trigeminal Neuralgia
3. Sensorineural deafness
4. Conduction deafness

Correct answer: 3. Sensorineural deafness

Explanation: Ans. (c) Sensorineural deafnessRef. Dhingras ENT 6th ed./ 446-47* Trotters triad is seen in case of nasopharyngeal carcinoma. It is also called Sinus of Morgagni Syndrome. Trotter's triad includes:# Ipsilateral soft palate palsy# Conductive hearing loss# Trigeminal neuralgia.